Medial rotator of thigh at hip joint is
1. Obturator externus
2. Obturator internus
3. Gluteus maximus
4. Gluteus minimus

Correct answer: 4. Gluteus minimus

Explanation: Gluteus medius, Gluteus minimus, Tensor fascia lata (collectively referred to as TRIO muscles)- Medial rotators of thigh Obturator internus, Obturator externus, Gluteus maximus -lateral rotators of thigh.